Borrelia recurrentis is transmitted by -
1. Mite
2. Louse
3. Tick
4. Mosquito

Correct answer: 2. Louse

Explanation: Ans. is 'b' i.e., Louse . Epidemic relapsing fever (Louse borne replacing fever) --> caused by B. recurrentis and transmitted by louse . Endemic relapsing fever (Tick borne RF) caused by B. duttoni, B. hermsii, B. parkeri; and transmitted by tick